Which one of the following in the characteristic feature of juvenile myoclonic epilepsy ?
1. Myoclonic seizures frequently occur in morning
2. Complete remission is common
3. Response to anticonvulsants is poor
4. Associted absence seizures are present in majority of patients

Correct answer: 1. Myoclonic seizures frequently occur in morning

Explanation: Ans. is 'a' i.e., Myoclonic seuzures frequently occur in morning Juvenile myoclonic epilepsy-is an epilepsy syndrome. Epilepsy syndromes are disorders in which epilepsy is a predominant feature and there is sufficient evidence to suggest a common underlying mechanism. Juvenile Mvoclonic Epilepsy o It is characterized by: Appearance in early adolescence Bilateral myoclonic jerks that may be single or repetitive Most frequent in morning after awakening Can be provoked by sleep deprivation Consciousness is usually preserved unless myoclonus is specially severe Association with generalised tonic-clonic seizures and absence seizures is seen Absence seizures occur in 1/3rd of patients Benign condition although complete remission is uncommon Seizure responds well to appropriate anticonvulsant medication Family history of epilepsy is common EEG show 4-6/s irregular spike Treatment is with valproate